Pan acinar emphysema is seen in
1. Smoking
2. Chronic bronchitis
3. α1 - antitrypsin deficiency
4. Spontaneous pneumothorax

Correct answer: 3. α1 - antitrypsin deficiency

Explanation: Centriancinar - Smokers, chronic bronchitis.
Pan acinar - α1 - antitrypsin deficiency.